A young nulliparous woman has 3'd degree of uterovaginal prolapse without any cystocele or rectocele. There is no stress incontinence. The uterus is retroverted. Uterocervical length is 3 inches. All other symptoms are normal. The best treatment plan for her will be :
1. Observation and reassurance till child bearing is over
2. Shirodkar's vaginal repair
3. Shirodkar's abdominal sling
4. Fothergill's operation

Correct answer: 3. Shirodkar's abdominal sling

Explanation: Shirodkar's abdominal sling